"Fracture a-Ia signature" is:
1. A depressed fracture
2. A fissured fracture
3. Separation of the suture
4. A ring fracture

Correct answer: 1. A depressed fracture

Explanation: A depressed fracture